Not a contra indication for Tonsillectomy
1. polio epidemic
2. Hemophilia
3. cleft lip
4. Acute infection of Tonsils

Correct answer: 3. cleft lip